Treatment of odontoma in child patient consists of:
1. No treatment.
2. Wait and watch.
3. Surgical removal.
4. None.

Correct answer: 3. Surgical removal.